All of the following are branched chain amino acids EXCEPT:
1. Leucine
2. Lysine
3. Isoleucine
4. Valine

Correct answer: 2. Lysine

Explanation: There are three branched chain amino acids: Valine, Leucine and Isoleucine. Branching is a difficult thing to be done (just an idea to learn). So, all these branched chain amino acids are essential (required in diet). Extra Information: Branched Chain Amino Acids All are non-polar (Isoleucine is most non-polar) Leucine is Ketogenic Valine is Glucogenic Isoleucine- both Ketogenic and Glucogenic Amino acid that can be a fuel for brain is Isoleucine